Neomycin is used in which of the following vaccines to prevent bacterial contamination?
1. OPV and BCG
2. MMR and IPV
3. DPT and HPV
4. Hib and HPV

Correct answer: 2. MMR and IPV

Explanation: MMR vaccine and IPV each contains less than 25 mg of neomycin per dose . Persons who are known to be allergic to neomycin should be closely observed after vaccination so that any allergic reaction can be treated at once.